Hemolytic anemia is a feature of deficiency of all RBC enzymes EXCEPT
1. Glucose 6 phosphate dehydrogenase
2. Pyruvate kinase
3. Aldolase A
4. Lactate dehydrogenase

Correct answer: 4. Lactate dehydrogenase